A person unacclimatised develops pulmonary edema-
1. 19-21 days
2. 2nd-3rd month
3. 2 -3 days
4. 6-7 days

Correct answer: 3. 2 -3 days

Explanation: Ans. is 'c' i.e., 2-3 days o A small percentage of people who ascend rapidly to high altitudes become acutely sick and can die if not given oxygen or removed to a low altitude.o The sickness begins from a few hours up to about 2 days after ascent. Two events frequently occur:Acute cerebral edema: This is believed to result from local vasodilation of the cerebral blood vessels, caused by the hypoxia. The cerebral edema can then lead to severe disorientation and other effects related to cerebral dysfunction.Acute pulmonary edema: The cause of this is still unknown, but one explanation is the following: The severe hypoxia causes the pulmonary arterioles to constrict potently, but the constriction is much greater in some parts of the lungs than in other parts, so more and more of the pulmonary blood flow is forced through fewer and fewer still unconstricted pulmonary vessels. The result is that the capillary pressure in these areas of the lungs becomes especially high and local edema occurs. Extension of the process to progressively more areas of the lungs leads to spreading pulmonary edema and severe pulmonary dysfunction that can be lethal. Allowing the person to breathe oxygen usually reverses the process within hours.